All of the following are used in disinfection of faeces, EXCEPT:
1. Cresol
2. Formalin
3. Glutaraldehyde
4. Bleaching powder

Correct answer: 3. Glutaraldehyde

Explanation: Agents used for disinfecting faeces: DISINFECTANT % USED Bleaching powder 5 Phenol 10 Cresol 5 Formalin 10 Ref: Park 21st edition, page 119.